Which of the following is the major side effect of rifampicin?
1. Renal failure
2. Hepatotoxicity
3. Bone marrow suppression
4. Blood dyscrasias

Correct answer: 2. Hepatotoxicity

Explanation: Ans. is 'b' i.e., Hepatotoxicity